Which of the following is vitamin B-complex disease
1. Scurvy
2. Pellegra
3. Night blindness
4. Rickets

Correct answer: 2. Pellegra

Explanation: (Pellegra): (535 - Harper 29th edition & Tryptophan)* Pellegra - caused by Niacin deficiency* Com is low in both niacin and tryptophan, com based diets can cause pellegra(i) Symptoms 3Ds - dermatitis, diarrhea, dementia(ii) Pellegra is frequently observed in Hartnup's disease(iii) Megadoses of niacin are useful in the treatment of hyperlipidemia* Retinoic acid has a role in the regulation of gene expression and tissue differentiation* Vitamin A deficiency is a major public health problem world wide* Vitamin E is the major lipid soluble antioxidant in cell membranes and plasma lipoproteins* Vitamin K is the coenzyme for carboylation of glutamate in post synthetic modification of calcium-binding proteins* Thiamine nutritional status can be assessed by erythrocyte transketolase activation* *** Viatamin B6 status is assessed by Assaying erythrocyte transaminases* Methyl malonyl CoA mutase, Leucine aminomutase and methionine synthase are three vitamin B12 dependant enzymes* Vitamin B12 deficiency causes functional folate deficiency - the "Folate Trap"* Folic acid supplements reduce the risk of Neural tube defects and hyperhomeocysteinemia & may reduce the incidence of cardiovascular disease & some cancers* Beta carotene, Vitamin E, Ascorbic acid and Lipoic acids serve as antioxidants and reduce the risk of heart attacks and cancers* Vitamin B6 is required for glycogen degradation by glycogen phosphorylase. A deficiency would result in fasting hypoglycemia, Additionally a deficiency of biotin (required by pyruvate carboxylase of gluconeogenesis) would also result in fasting hypoglycemia. (394- Lippincotts 6th)